Otoacoustic emissions arise from -
1. Inner hair cells
2. Outer hair cells
3. Both inner and outer hair cells
4. Organ of corti

Correct answer: 2. Outer hair cells